Unit of ecological study is:
1. Population
2. Individual
3. Healthy people
4. Patient

Correct answer: 1. Population

Explanation: Ref. Foundations of Community medicine. Page. 107
 
In ecological studies the unit of observation is the population or community.

Disease rates and exposures are measured in each of a series of populations and their relation is examined.
Often the information about disease and exposure is abstracted from published statistics and therefore does not require expensive or time